Which of the following drug is used to perform stress echo?
1. Noradrenaline
2. Adenosine
3. Adrenaline
4. Dobutamine

Correct answer: 4. Dobutamine

Explanation: Dobutamine acts on beta 1 and beta2 receptors the heart contains beta1 receptors by stimulating beta1 receptors, dobutamine is producing stress-used for a stress echocardiogram An (echo) is a test used to assess the heart's function and structures. A stress echocardiogram is a test done to assess how well the heart works under stress. The "stress" can be triggered by either exercise on a treadmill or a medicine called dobutamine. Ref: KD Tripathi 8th ed.